Not true regarding M cells
1. Larger cells
2. Color contrast
3. High Luminous contrast
4. Low Spatial frequency

Correct answer: 2. Color contrast

Explanation: Color contrast is seen by P cells and not M Cells PARALLEL PROCESSING M CELL P CELL COLOR CONTRAST NO YES LUMINANCE CONTRAST HIGHER LOWER SIZE LARGER CELLS SMALLER CELLS SPATIAL FREQUENCY LOWER HIGHER TEMPORAL FREQUENCY HIGHER LOWER